Cohort study is a type of
1. Clinical trial
2. Analytic study
3. Descriptive study
4. Experimental study

Correct answer: 2. Analytic study

Explanation: Cohort or follow up is a type of analytical study with individuals as a unit of the study. (refer pg no: 62, park 23 rd edition )